Bilateral renal artery stenosis is a contraindication for which Antihypertansive drug-
1. Beta - blockers
2. Calcium channel blockers
3. ACE inhibitors
4. Diuretics

Correct answer: 3. ACE inhibitors

Explanation: Ans. is 'c' i.e., ACE inhibitors o Patients with renal artery stenosis are dependent on efferent arteriolar vasoconstiction for maintenance of glomerular filtration pressure. Angiotensin II is responsible for vasoconstriction of efferent arteriole.o ACE inhibitors prevent the generation of Angiotensin II. This causes dilatation of efferent arterioles and fall in glomerular filtration pressure. This can ppt renal failure.o Therefore ACE inhibition are C/I in patients with bilateral renal artery stenosis.